pH of the vagina is lowest during :
1. Ovulation
2. Menstruation
3. Pregnancy
4. Puerperium

Correct answer: 3. Pregnancy

Explanation: Pregnancy